In camera trial of a rape case hearing is done under ?
1. 376 IPC
2. 327 CrPC
3. 53 CrPC
4. 375 IPC

Correct answer: 2. 327 CrPC

Explanation: Ans. is 'b' i.e. 327 CrPC S. 327 CrPC (2) -The inquiry into and trial of rape or an offence under sec.376 IPC shall be conducted in camera and it is not lawful for any person to print or publish any matter in relation to such proceedings except with the permission of court.